Shifting of the oxygen dissociation curve to the right indicate
1. The affinity is less and more O2 is released to the tissue
2. Affinity is more and less oxygen is released to tissues
3. Amount of oxygen transported is less
4. More carbon dioxide is transported

Correct answer: 1. The affinity is less and more O2 is released to the tissue

Explanation: A rise in temperature or a fall in pH shifts the curve to the right.When the curve is shifted in this direction, a higher PO2 is required for hemoglobin to bind a given amount of O2.By decreasing o2 affinity more O2 is released to the tissue. Ref: Ganong's Review of Medical Physiology Twenty-Third Edition Page No:612